Aedes mosquito transmits all the following diseases, EXCEPT:
1. Dengue
2. Chikungunya
3. Yellow fever
4. West Nile fever

Correct answer: 4. West Nile fever

Explanation: Type of mosquito Disease Anopheles Malaria Filaria Aedes Yellow fever Dengue Chikungunya Rift valley fever Filaria Culex Japanese encephalitis West nile fever Viral arthritis Bancroftian filariasis Mansonoides Malayan filariasis Chikungunya Ref: Environment and health Park's textbook of Preventive and Social Medicine, 21stedition, page-712.